All are true about duodenal diverticula except:
1. Whenever found, should be treated due to increased risk of complications
2. Most common site is periampullary region
3. Can cause acute pancreatitis
4. Most are asymptomatic

Correct answer: 1. Whenever found, should be treated due to increased risk of complications

Explanation: Ans. (a) Whenever found, should be treated due to increased risk of complicationsRef: Sabiston 19th edition, Pages 1265-1266 Incidentally found:* Meckel's -- resect* Jejunal diverticula -- leave it* Duodenal diverticula -- leave it* Colon diverticula -- leave it